Henoch Schonlein purpura commonly involves which age group?
1. 3-10 years
2. 10-15 years
3. 15-20 years
4. >25 years

Correct answer: 1. 3-10 years

Explanation: Ans. A. 3-10 yearsHSP is an acute immunoglobulin A (IgA)-mediated disorder characterized by a generalized vasculitis involving the small vessels of the skin, the gastrointestinal (GI) tract, the kidneys, the joints, and, rarely, the lungs and the central nervous system (CNS). The prevalence of HSP peaks in children aged 3-10 years. In one half to two thirds of children, an upper respiratory tract infection (URTI) precedes the clinical onset of HSP by 1-3 weeks. The most important organ determining long-term morbidity is kidney involvement. Up to 30-50% of children either have or will develop hematuria and/or proteinuria within 4-6 weeks of the initial presentation. This is usually mild and self-limiting. However, approximately 20% of HSP children with nephritis (7% of all HSP cases) will develop either a nephritis or nephrotic syndrome.